Which of the following is not a feature of gastrinoma?
1. Recurrent duodenal ulcer
2. Diarrhoea
3. Ulcer at unusual sites
4. Massive HCL secretion in response to histamine injection

Correct answer: 4. Massive HCL secretion in response to histamine injection

Explanation: In a gastrinoma, secretin provocative test is positive i.e in response to secretin injection gastrin secretion increases to more than 120pg/ml which inturn result in massive HCL secretion. Gastrinoma is associated with peptic ulcer disease. Peptic ulcers associated with this occur at unusual locations but mostly develop in the duodenum. Most common clinical features includes abdominal pain, diarrhea and GERD. Reference : Harrison's Principles of Internal Medicine 18e chapter 350.